Which of the following method of protein separation is not dependent on molecular size ?
1. Gel filtration chromatography
2. Ultracentrifugation
3. Ion-exchange chromatography
4. SDS-PAGE

Correct answer: 3. Ion-exchange chromatography

Explanation: Ans. is 'c' i.e., Ion-exchange chromatography